All of the following are neurologic channelopathies except :
1. Hypokalemic periodic paralysis
2. Episodic ataxia type I
3. Familial hemiplegic migraine
4. Spinocerebellar ataxia I

Correct answer: 4. Spinocerebellar ataxia I

Explanation: Answer is D (Spinocerebellar Ataxia I): Spinocerebellar ataxia -- 6 is classified as neurological channelopathy hit not spinocerebellar ataxia --I